Drug which is used to control status epilepticus is
1. Diazepam
2. Sodium nitroprusside
3. Glyceryl trinitrite
4. Pheno barbital

Correct answer: 1. Diazepam